A 10 year old child develops hematuria after 2 days of diarrhoea. lood film shows fragmented RBCs & thrombocytopenia. Ultasound shows marked enlargement of both kidneys. The Ilkley diagnosis is -
1. Acute pyelonephritis
2. Disseminated intravascular coagulopathy
3. Haemolytic uremic syndrome
4. Renal vein thrombosis

Correct answer: 3. Haemolytic uremic syndrome